In multiparous women, short labor is defined as a rate of cervical dilatation of
1. 3cm/hr
2. 5cm/hr
3. 8cm/hr
4. 10cm/hr

Correct answer: 4. 10cm/hr

Explanation: Short labors were defined as a rate of cervical dilatation of 5 cm/hr or faster for nulliparas and 10cm/hr for multiparas. Such short labors were more common in multiparas who typically had contractions at intervals less than 2 minutes and were associated with placental abruption, meconium, postpartum hemorrhage, cocaine abuse, and low Apgar scores.Precipitous labor terminates in the expulsion of the fetus in < 3 hours.Ref: William's obstetrics; 24th edition; Chapter: 23